Shape of extradural hematoma on NCCT is ?
1. Medially concave
2. Lens shaped
3. Bean shaped
4. Crescent shaped

Correct answer: 2. Lens shaped

Explanation: CT scan head is diagnostic. Extradural haematoma shows biconvex lesion Ref: SRB's Manual of Surgery, 4th Edition, pg. no. 1177 On CT, extradural haematomas appear as a lentiform (lensshaped or biconvex) hyperdense lesion between skull and brain, constrained by the adherence of the dura to the skull. Ref: Bailey & Love Short Practice Of Surgery, 26th Edition, pg. no. 315